Voriconazole is not effective against :
1. Candida albicans
2. Mucormycosis
3. Candida tropicalis
4. Aspergillosis

Correct answer: 2. Mucormycosis